Which group of drugs potentiates the action of Neuromuscular blockers?
1. Aminoglycosides
2. Cephalosporins
3. Ampicillin
4. Penicillin

Correct answer: 1. Aminoglycosides

Explanation: Ref: Goodman & Gillman, The pharmacological basis of therapeutics. I2'h edition, Pg No. 1514Explanation:None of the other drugs mentioned have any effect on ACh neurotransmission.Potentiating neuromuscular blockers is a class effect exhibited by all aminoglycoside antibiotics.This is highest with neomycin followed by Kanamycin Amikacin, gentamicin and TobramycinMore common with intrapleural and intraperitoneal instillation of large doses of one of these agents.Can also seen with intravenous and intramuscular routeThis is due to the fact that they inhibit the release of prejunctional release of ACh as well as reducing the postsynaptic sensitivity to neurotransmitter.Hence aminoglycosides should be used with caution in myasthenia gravis patients